Common name for Trichuris trichura
1. Round worm
2. Whip worm
3. Tape worm
4. Seat worm

Correct answer: 2. Whip worm